Mission Indradhanush 2014, does not include
1. Diphtheria vaccine
2. Pertussis vaccine
3. Hepatitis B Vaccine
4. Meningococcal vaccine

Correct answer: 4. Meningococcal vaccine